Of 25 persons are working on a project for 30 years. There is how many person-years of employement.
1. 75
2. 750
3. 120
4. 1200

Correct answer: 2. 750

Explanation: Ans. is 'b' i.e., 750 "10000 people working for 1 year would lead to 1000 person years of employment"* Thus, 25 persons working for 30 years will lead to 750 person-years of employment.